One of the most serious complication of urticaria is:
1. Anaphylactic shock
2. Heart block
3. Cerebral edema
4. Septicemia

Correct answer: 1. Anaphylactic shock